Unpaired laryngeal cartilage ?
1. Arytenoid
2. Corniculate
3. Cuneiform
4. Epiglottis

Correct answer: 4. Epiglottis

Explanation: The skeletal supports of larynx is provided by Six cartilages, 3 out of which are paired (sort there are total 9 cartilages). i) Unpaired :- Thyroid, cricoid, epiglottis. ii) Paired :- Arytenoid, Corniculate, cuneiform.